Increased frequency of HLA-B  27 is seen in all the following diseases except -
1. Ankylosing spondylitis
2. Reiters syndrome
3. Acute anterior uveitis
4. Myasthenia gravis

Correct answer: 4. Myasthenia gravis